Radiological feature of Pneumothorax on USG
1. Lung sliding sign
2. Sea shore sign
3. B Lines
4. Stratosphere sign

Correct answer: 4. Stratosphere sign

Explanation: Lung sliding sign & Sea shore sign - Normal lung.
B lines - Comet tail artefact below the pleura.